All of the following are present in Superficial perineal pouch except:
1. Sphincter urethrae muscles
2. Bulbospongiosus
3. Posterior scrotal nerves
4. Duct of Bulbourethral glands

Correct answer: 1. Sphincter urethrae muscles

Explanation: A i.e. Sphincter urethral muscles Root, crura & bulb of penis (i.e. 1 bulb/corpus spongiosa & 2 crura/corpora cavernosa), bulbospongiosus muscle, ducts of bulburethral gland, and posterior scrotal nerve/artery4 are contents of superficial perineal pouch.Deep perineal pouch contains bulbourethral glands, membranous urethra, sphincter urethrae muscle (internal urethral sphincter) and dorsal nerve of peris